Buspirone is an-
1. Anxiolytic
2. Muscle relaxant
3. Sedati on
4. Anticonvul sant

Correct answer: 1. Anxiolytic

Explanation: Ans. is 'a' i.e., Anxiolytic Buspirone is a non-sedative, non-habit forming anxiolytic.